False about orbital cellulitis
1. Leads to paralysis of 3rd,4th,6th nerve
2. Involves sympathetic plexus
3. Unilateral
4. Loss of vision

Correct answer: 2. Involves sympathetic plexus